The tensile strength of dental amalgam is
1. 27-55 MPa
2. 60-100 MPa
3. 120-140 MPa
4. 18-20 MPa

Correct answer: 1. 27-55 MPa